Anticraving agents for alcohol abuse are all the following except
1. Acamprosate
2. Disulfiram
3. Topiramate
4. Naltrexone

Correct answer: 2. Disulfiram

Explanation: treatment for alcohol dependence is an important question that is asked in exams treatment for alcohol dependence is done in 2 steps first detoxification, next is deaddiction detoxification involves helping the patient having a smooth withdrawl deaddiction involves preventing the patient from having relapse the main pharmacological agent used in detoxification is benzodiazepines deaddiction involves 2 types of techniques one is use of deterrent like disulfiram where when it is used it results in allergy like reaction, it should be used in well motivated individuals other type of deaddiction is naltrexone and acomprosate. Disulfiram is an aversion agent not anticraving agent. Remaining all other drugs are anti-craving agents for alcohol abuse. Ref: Essentials of postgraduate psychiatry By JN Vyas 1st ed Pg 329-331